SAFE LIGHT used in conventional radiography emits which colour of light?
1. Blue
2. Green
3. Red
4. Yellow

Correct answer: 3. Red

Explanation: Darkrooms used red lighting to allow radiographers to control light carefully, so that light-sensitive photographic film would not become overexposed and ruin the image quality during the developing process.